A patient diagnosed with schizophrenia came with acute exacerbation of symptoms. Inj.Haloperidol was administered in the casuality and suddenly the patient had deviation of eye balls and torticollis. What is the diagnosis?
1. Akathisia
2. Acute dystonia
3. Malignant hyperthermia
4. Drug induced parkinsonism

Correct answer: 2. Acute dystonia

Explanation: Acute dystonia is the earliest side effect seen immediately after the administration of antipsychotics. Acute dystonia is treated using anticholinergics like Benztropine, Promethazine.